Panchayati Raj included all, except -
1. Gram Sabha
2. Gram Panchayat
3. Nyaya Sabha
4. Nyaya Panchayat

Correct answer: 3. Nyaya Sabha

Explanation: The panchayati Raj at the village level consists of: The Gram Sabha The Gram panchayat and The Nyaya Panchayat (refer pgno:881 park 23 rd edition)